Genetic component of Superfemale is
1. XX
2. XXY
3. XO
4. XXX

Correct answer: 4. XXX

Explanation: Superfemale (Triple X Chromosome)The possession of an extra X is not excessively rare since it is quite compatible with complete feminine normality. There is, however, a well-recognized triple X syndrome in which the patient, who is often mentally subnormal, suffers from scanty or irregular menstruation and infertility. Clinical examination may reveal hypoplasia of the genital tract.Reference: Shaw's textbook of gynecology; 16th edition; Page no 146